All of the following are zoonosis Except -
1. Plague
2. Japanese Encephalitis (JE)
3. HIV
4. Tuberculosis (TB)

Correct answer: 3. HIV

Explanation: HIV It is a viral infection caused by retrovirus known as the human immunodeficiency virus. All others are zoonoses.ie,an infection or infectious disease transmissible under natural conditions from vertebrate animals to man. Park's textbook of preventive and social medicine,K.Park,23rd edition,page no:94,343.